Not true about Immune Thrombocytopenic purpura (ITP) -a) Autoimmune mediatedb) Massive splenomegalyc) ↑ Megakaryocytes in bone marrowd) I.V immunoglobulin is givene) Chronic ITP is self limiting condition
1. ab
2. ad
3. be
4. ce

Correct answer: 3. be